All the following branches of the Vth nerve supply the dura mater except -
1. Anterior ethmoidal
2. Posterior ethmoidal
3. Auriculotemporal
4. Mandibular

Correct answer: 3. Auriculotemporal

Explanation: The anterior cranial fossa is supplied by 

Anterior and posterior ethmoidal nerves (major supply); 
Nervus meninges medius (a branch of maxillary nerve); and nervus spinosus (a branch of mandibular nerve).